Anorexia nervosa can be erentiated from bulimia by-
1. Intense fear of wt gain
2. Disturbance of body image
3. Adolescent age
4. Peculiar patterns of food handling

Correct answer: 4. Peculiar patterns of food handling

Explanation: Patients with anorexia nervosa exhibit peculiar behavior about food. They hide food all over the house and frequently carry large quantities of candies in their pockets and purses. They cut their meals into very small pieces and spend a great deal of time rearranging the pieces on their plates. While eating meals, they try to dispose of food in their napkins or hide it in their pockets.
This peculiar behavior about food is not seen in bulimia nervosa.

About other options

Both anorexia and bulimia patients have fear of weight gain.
The onset of both is in adolescence (Anorexia early adolescence; bulimia late adolescence).
Body - image disturbance is seen in both diseases.